Regarding cutaneous amoebiasis which is not true ?
1. It is a spreading necrotising
2. Rapid improvement with anti-amoebic treatment occurs
3. Can occur in the perianal region
4. The infection reaches the skin through the blood stream

Correct answer: 4. The infection reaches the skin through the blood stream

Explanation: Ans. is 'd' i.e., The infection reaches the skin through the blood stream . Skin is involved directly over the region adjoining a visceral lesion, such as, in the areas of drainage of liver abscess or colostomy wound, in the sites of ruptured appendicular and peri-colic abscesses. . Extensive necrosis and sloughing of the skin and subcutaneous tissues are caused by the trophozoites of E. histolytica. . Granulomatous ulceration and granulomatous mass may occur in the peri-anal region.